In all of the following enzyme deficiencies, hyperammonemia is a common feature, EXCEPT:
1. Argininosuccinate synthetase
2. Carbamoyl Phosphate synthetase (CPS-I)
3. Ornithine transcarbamoylase (OTC)
4. Ornithine amino transferase

Correct answer: 4. Ornithine amino transferase

Explanation: Excess ornithine from urea cycle is taken by enzyme OAT (Ornithine amino transferase) OAT deficiency leads to gyrate atrophy. In this deficiency, plasma, urine, spinal fluid and aqueous humour concentration of ornithine levels are 10-20 times higher than normal Hyperammonemia is absent because urea cycle is not disrupted in this deficiency Hyperammonemia occurs in enzyme deficiency of Urea cycle